All of the following features are true regarding multiple myeloma except-
1. Proteinuria
2. Bleeding tendency
3. Visual disturbances
4. Dystrophic calcification

Correct answer: 4. Dystrophic calcification

Explanation: Multiple myelomais a plasma cell neoplasm commonly associated with lytic bone lesions , hypercalcemia, renal failure and acquired immune abnormalities. As resorption of bone tissues occur in MM and hypercalcemia there occurs metastatic calcificatin. Visual impairment associated with venous congestion which is reflected by striking toousity and distension of retinal veins; retinal hemorrhages and exudate can also contribute to visual problems. Bleeding is related to the formation ocomplexes between macroglobulins and clotting factors as well as interference with platelet function. It is associated with renalfailure also. Reference : Robbins and Cotran Pathologic basis of disease.South Asia Edition volume 1.page no 65,601,602